M-spike in multiple myeloma is due to?
1. IgM
2. IgA
3. IgG
4. IgD

Correct answer: 3. IgG

Explanation: In Multiple myeloma laboratory analyses reveal increased levels of Igs in the blood and/or light chains (Bence-Jonesproteins) in the urine. The most common monoclonal Ig ("M protein") is IgG (approximately 55% ofpatients), followed by IgA (approximately 25% of cases).